Which of the following drug is NOT used in the treatment of type II lepra reaction?
1. Cyclosporine
2. Thalidomide
3. Clofazimine
4. Corticosteroids

Correct answer: 1. Cyclosporine

Explanation: Cyclosporine is not indicated in the treatment of type II lepra reaction. Patients with type II lepra reactions are given glucocorticoids. If ENL recurs or persists even after use of steroids, thalidomide is initiated with the dose depending on the severity of the reaction. Clofazimine in high doses has some efficacy against ENL. Patients with type I leprae reactions are best treated with glucocorticoids. Thalidomide is ineffective in its treatment. Clofazimine is of questionable benefit in type I leprae reactions, but in any event it is less efficacious than glucocorticoids. Ref: Gelber R.H. (2012). Chapter 166. Leprosy. In D.L. Longo, A.S. Fauci, D.L. Kasper, S.L. Hauser, J.L. Jameson, J. Loscalzo (Eds), Harrison's Principles of Internal Medicine, 18e.